Each myosin molecule of sarcomere is composed of
1. Two monomers
2. Four monomers
3. Six monomers
4. Eight monomers

Correct answer: 3. Six monomers

Explanation: Sarcomeres are the fundamental contractile unit of skeletal muscle and are characterized by their highly ordered appearance under a polarizing light microscope.Thick filaments in the A band are composed primarily of the protein myosin. Each myosin molecule is composed of six monomers: two protein strands intertwined in a helical arrangement (termed heavy chains) and four smaller, globular proteins (termed myosin light chains).Thin filaments are composed of three primary proteins: actin, tropomyosin, and troponin.